The test used to diagnose Dubin Johnson syndrome is-
1. Bromsulphalein test (BSP)
2. Scrum transaminases
3. Hippuratc test
4. Gamma glutamyl transferase level

Correct answer: 1. Bromsulphalein test (BSP)

Explanation: A prolonged BSP dye excretion test is diagnostic of Dubin Johnson syndrome
BSP is a dye which is removed from circulation by the same mechanism as bilirubin.